In legionnareis disease medium for culture used is:
1. BYCE medium
2. Lofflers serum slope
3. Tellurite Media
4. Thayer main media

Correct answer: 1. BYCE medium

Explanation: BYCE medium